During Tonsillitis, pain in the ear is due to involvement of?
1. Vagus Nerve
2. Chorda tympani Nerve
3. Glossopharyngeal Nerve
4. Hypoglossal Nerve

Correct answer: 3. Glossopharyngeal Nerve

Explanation: ANSWER: (C) Glossopharyngeal NerveREF: BDC Vol 3 page 219Tonsillitis/Pharyngitis may cause referred pain in the ear as Glossopharyngeal Nerve is the common sensory supply"